Post-infective glomerulonephritis present as -
1. ARF
2. Nephrotic syndrome
3. Nephritic syndrome
4. Asymptomatic hematuria

Correct answer: 3. Nephritic syndrome